In which of the following condition sweating is NOT present?
1. Heat syncope
2. Heat cramps
3. Heat stroke
4. Heat fatigue

Correct answer: 3. Heat stroke

Explanation: Heat stroke occurs when core body temperature exceeds 40 degC and produces severe central nervous system dysfunction. It results from imbalance between heat production and heat dissipation. The skin is pink or ashen and sometimes, paradoxically, dry, hot and there is complete absence of flushing; dry skin in the presence of hyperpyrexia is virtually pathognomonic of heat stroke. Ref: Demling R.H. (2010). Chapter 14. Burns & Other Thermal Injuries. In G.M. Dohey (Ed), CURRENT Diagnosis & Treatment: Surgery, 13e.